Most common fungal infection in H.I.V. -
1. Histoplasmosis
2. Candida
3. Cryptosporidium
4. Cryptococcus

Correct answer: 2. Candida

Explanation: Ans. is 'b' i.e., Candidao Infection with Candida albicans are extermelv common in patients with AIDS and HIV infection.Oral candidiasis is seen in virtually all patients at some times during the natural history- of HIV infection.The presence of oral candidiasis a predictor for progression to AIDS.o Esoohaseal candidiasis is AIDS defininins illness in 14% of HIV infected persons.o Cvptococcosis is the most common systemic funeal disease in HIV infected persons.Studies indicate that 6-10% of the HIV infected population with altered T-cell host defenses will develop cryptococcal disease.The central nervous system is the most commonaly involved organ in cryptococcocus and menigitis most common manifestation.Also knowo Most common severe occular complication of AIDS-CMV retinitiso Most common cause ofT.B. in HIV-Mycobacterium tuberculosiso Most common cause of C.N.S. infection in AIDS-Toxoplasmosiso Most common cause of seizures in HIV-Toxoplasmosiso Most common cause of meningitis in HIV-Cryptococcuso Most common fungal infection in AIDS-Candidao Most common cause of oral ulcer in AIDS-Candidao Most common viral infection in AIDS-HSVo Most common cause of genital lesion in AIDS-HSVo Commonest helminthic infection in AIDS-Strongvloides stercoraliso Afosf common cause of diarrhoea in AIDS-Cryptosporidiumo Most common cause of pneumonia in AIDS-Pneumococcus